Many dentists criticized the poor quality of the early amalgam restorations and this controversy led to the “amalgam war” from –
1. 1820  to  1830
2. 1840  to  1850
3. 1870  to  1880
4. 1880  to  1890

Correct answer: 2. 1840  to  1850

Explanation: Many dentists criticized the poor quality of the early amalgam restorations.This controversy led to the “amalgam war” from 1840 to 1850.
Reference: Phillip’s Science of Dental Materials, Pg-8